Middle Ear Function is
1. Impendence matching
2. Frequency discrimination
3. Intensity Discrimination
4. Speech Localization

Correct answer: 1. Impendence matching

Explanation: Middle ear functions: Conduct the sound from outer ear to inner ear Middle ear muscles provide protection from loud sound It serves as an acoustic transformer to match the impedance of air to the much higher impedance of cochlear fluids Couples sound preferably to only one window of cochlea, thus producing differential pressure between windows, necessary for cochlear fluid movement